Out of 11 births in a hospital, 5 babies weighed over 2.5 kg and 5 weighed less than 2.5 kg. What value does 2.5 represent:
1. Geometric average
2. Arithmetic average
3. Median average
4. Mode

Correct answer: 3. Median average

Explanation: The 'median' refers to the value of the middle observation, when data is arranged in an ascending or descending order of magnitude. In the given question, 5 values are greater then '2.5' and 5 values are less than '2.5'. Thus, 2.5 is the middle value of this set of data and stands for the median. Ref: Park's Textbook of Preventive and Social Medicine By K. Park, 19th Edition, Pages 699, 700.